Hemolytic uremic syndrome is caused by
1. EIEC
2. Shigella
3. Salmonella
4. Cholera

Correct answer: 2. Shigella

Explanation: Shigella dysenteriae type 1 causes toxemia due to the production of exotoxin.the complication includes polyneuritis, arthritis, conjunctivitis, parotitis and hemolytic uremic syndrome. Ref: Textbook of microbiology; Ananthanarayan and paniker's;10th edition; Pg:293